Hormone which initiates milk ejection
1. Lactogen
2. Prolactin
3. LH
4. Oxytocin

Correct answer: 4. Oxytocin

Explanation: Oxytocin a hypothalamic hormone stored in and released from the posterior pituitary; it may also be prepared synthetically or obtained from the posterior pituitary of domestic animals. It acts as a powerful stimulant to the pregnant uterus, especially toward the end of gestation, and also causes milk to be expressed from the alveoli into the lactiferous ducts during breastfeeding. Injection of oxytocin may be used to induce labor or strengthen uterine contractions during labor, to contract uterine muscle after delivery of the placenta, and to control postpartum hemorrhage.Ref: Ganong's review of medical physiology; 24th edition; page no:-311